Most common cause of repeated 2nd-trimester foetal loss is
1. Chromosomal anomaly
2. Intrauterine infection
3. Abnormality of cervix and uterus
4. Hormonal imbalance

Correct answer: 3. Abnormality of cervix and uterus

Explanation: Common known causes of abortion: First trimester: defective germ cells, hormonal deficiency, trauma, acute infection. Second trimester: Cervical incompetence, uterine malformations, uterine fibroid, low implantation of placenta, twins and hydramnios